All are true about chordoma except
1. Endothelial origin
2. More common in males
3. Occurs in sacrococcygeal region
4. Expansile lytic lesion

Correct answer: 1. Endothelial origin